Reduction of overbite can be accomplished most readily by which of the following tooth movements?
1. Intruding maxillary incisors
2. Uprighting maxillary and mandibular incisors
3. Using a high-pull headgear to the maxillary molars
4. Using a lip bumper

Correct answer: 1. Intruding maxillary incisors

Explanation: Intruding incisors would decrease overbite while uprighting teeth and using a high-pull headgear could make overbite correction more difficult. A lip bumper would likely have little effect on overbite.